Treatment of choice for ovarian cyst in a postpartum patient is which of the following surgical procedures?
1. Immediate removal
2. Removal after 2 weeks
3. Removal after 6 weeks
4. Removal after 3 months

Correct answer: 1. Immediate removal

Explanation: Ovarian cyst diagnosed in a patient in the post partum period should be treated by removing the cyst as early as possible in the puerperium. Ref: D.C.Dutta's Text book of Obstretics 6th edition page 310.